Which ONE of the following is TRUE about a competitive antagonism ?
1. Antagonism cannot be completely reversed by increased dose of the agonist
2. An agonist cannot displace an antagonists from the receptor
3. Agonists and antagonists bind to the same receptor
4. Dose–response curve of an agonists shifts to the left in the presence of an antagonist

Correct answer: 3. Agonists and antagonists bind to the same receptor